This type of psoriasis is commonly seen in children and may follow a streptococcal sore throat:
1. Pustular
2. Stable plaque
3. Arthropathic
4. Guttate

Correct answer: 4. Guttate

Explanation: Ans. d. GuttateGuttate psoriasis occurs after beta-Haemolytic streptococcal upper respiratory tract infection (URTI)